The maximum urinary concentration capacity in full-term neonates is
1. 350-450 mOsm/litre
2. 700-800 mOsm/litre
3. 900-1000 mOsm/litre
4. >1000 mOsm/litre

Correct answer: 2. 700-800 mOsm/litre

Explanation: A full-term infant can concentrate his urine to a maximum of 700-800 mOsm/kgAn older child can concentrate 1200-1400 mOsm/kgA newborn can dilute his urine to a minimum of 50 mOsm/kg much like an older child.(Refer: Nelson's Textbook of Pediatrics, SAE, 1st edition)